AML with adverse prognosis is:
1. t(8;21)
2. t(15;17)
3. Normal cytogenetics
4. Del 7q

Correct answer: 4. Del 7q

Explanation: Prognostic factors in AML A. Favourable prognostic factors B. Unfavourable prognostic factors Age <40 years AML without antecedent MDS/MPD Blast cells with Auer rods TLC <25 x 109/L FAB subtype-AML-M2, M3, M4 High WBC Count> 100 x 109/L AML with preceding MDS/MPD Extremes of age<2years and >55years -7/7q-* Extramedullary disease in AML-M5 Presence of CNS involvement FAB subtype - AML - M0, M6, M7 t (15;17) in AML- M3-PML/RARA +ve t (8;21) in AML- M2 Ivn (16) in AML - MYH11 mutation NPM1 mutations without FLT3 mutations Biallelic CEBPA gene mutations. MLLT3 -KMT2A (intermediate prognosis) Trisomy 8 del (7q) del (5q) 11q23-MLL +ve 3q21 Del (7q) Expression of MDR-1 gene (multidrug gene) 3q26 t(9; 11) complex Karyotypes/ Normal cytogenetic inv3; t(3; 3) t(6:9) FLT -3 mutation (ITD are worse than TKD) MLL gene rearrangement RAS gene mutations KIJ gene mutationsp p53 gene mutations ERG gene mutations MN1 gene mutations RUNX1 mutation BCR-ABL 1 mutation